All the following antiretrol drugs produce dyslipidemia except
1. Atazanavir
2. Saquinavir
3. Amprenavir
4. Nelfinavir

Correct answer: 1. Atazanavir

Explanation: Refer Katzung 11/e p863 Unlike other protease inhibitors atazanvir6 does not appear to be associated with dyslipidemia ,fat redistribution or metabolic syndrome